Ebsteins anomaly is a side effect of
1. lithium
2. carbamezepine
3. valproate
4. lamotrigine

Correct answer: 1. lithium

Explanation: side effects of mood stablizers are important questions to be asked in entrance examination lithium causes Ebstiens anamoly valproate causes neural tube side effects Ref. kaplon and sadock, synopsis of psychiatry, 11 th edition, 935